Aspirin prolongs bleeding by inhibiting the synthesis of which of the following ?
1. Adenosine receptors
2. Cyclic AMP
3. Prostacyclin
4. Thromboxane A2

Correct answer: 4. Thromboxane A2